Most radioresistant tumour among following is:
1. Ewing carcinoma
2. Osteosarcoma
3. Cervical ca
4. Lymphoma

Correct answer: 2. Osteosarcoma

Explanation: Ans: B (Osteo..) Radiosensitivity of fifferent tumours Bhaduri 2nd1. Highly sensitiveLympboma;Seminoma;Mye]oma;Ewing's sarcoma; Wilms tumour2. Moderately sensitiveSmall cell lung cancer: Breast cancer;Basal cell carcinomaiMedulloblastoma; Teratoma; Ovarian cancer3. Relatively resistantSquamous cell carcinoma of lung:Hvpemephroma;Rectal carrinoma;Biadder carcinoma;Soft tissue sarcoma; Carcinoma of cervix4. Highly resistantMelanoma; Osteosarcoma:Pancreatic carcinoma